A chronic alcoholic was complaining of loss of appetite and pain in lower legs. On examination his gate was ataxia. He is suffering from deficiency of
1. Niacin
2. Riboflavin
3. Thiamine
4. Folate

Correct answer: 3. Thiamine